Ringer lactate contains all EXCEPT:
1. Chloride
2. Sodium
3. Bicarbonate
4. Potassium

Correct answer: 3. Bicarbonate

Explanation: C i.e. Bicarbonate